Standard force for evaluating periodontal pockets that have been found to be well tolerated is
1. 0.65 N
2. 0.75 N
3. 0.85 N
4. 0.95 N

Correct answer: 2. 0.75 N